Which of the component of respiratory chain reacts directly with molecular oxygen:
1. Cyt b
2. CoQ
3. Cyt C
4. Cyt aa3

Correct answer: 4. Cyt aa3

Explanation: Cyt aa3 is complex IV of ETC, which directly reacts with oxygen. ETC Complex Components Complex I FMN + Fe-S Complex Complex II FAD + Fe - S Complex Complex III Cyt b, Fe-S Complex Complex IV Cyt aa3, Cu